Bankart's lesion is seen at -
1. Post surface of glenoid labrum
2. Anterior surface of glenoid labrum
3. Anterior part of head of humerus
4. Post part of head of humerus

Correct answer: 2. Anterior surface of glenoid labrum

Explanation: When the labrum of the shoulder joint is torn, the stability of the shoulder joint is compromised.
A Specific type of labral tear is called a Bankart's lesion.
A Bankart's lesion occurs when an individual sustains an anterior dislocation.
As the shoulder pops out of the joint, it often causes a tear of the labrum and stripping of periosteum from the anterior surface (more specifically anteroinferior) of glenoid.
In severe injuries, there may be avulsion of a piece of bone from the antero-inferior glenoid rim, called bony Bankart lesion.